The inverse stretch reflex is mediated by:
1. Trail fibre ending
2. Golgi tendon
3. Tail fibre ending
4. Muscle spindle

Correct answer: 2. Golgi tendon

Explanation: Inverse stretch reflex is one in which when the tension in the muscle becomes very high there is sudden relaxation of the muscle. This inhibitory negative feedback lengthening reaction protects tearing of muscle or avulsion of tendon. Golgi tendon organ detects the muscle tension and is responsible for this reflex. Afferent limb: Golgi tendon organ and 1b afferents CNS unit: inhibitory interneuron Efferent limb: alpha motor neuron and homonymous muscle Inverse stretch reflex or autogenic inhibiton: is one in which when the tension in the muscle becomes very high there is sudden relaxation of the muscle. This inhibitory negative feedback lengthening reaction protects tearing of muscle or avulsion of tendon. Golgi tendon organ detects the muscle tension and is responsible for this reflex. Stretch reflex: When a muscle is stretched there is reflex contraction of the stretched muscle. Reflex is initiated by the stretch of the muscle and the response is contraction of the muscle that is being stretched. Muscle spindle is the sense organ for this reflex and the impulse are carried by the fast sensory fibres to the CNS. Ref: Ganong's, Review of Medical physiology, 22 Edition, Page 134.